The percentage of copper in high copper alloy is:
1. 10-12%
2. 0 -6%
3. 13-30%
4. 20 -30%

Correct answer: 3. 13-30%